An individual is said to be 'overweight' if his BMI is in the range of
1. 24.0 - 26.9
2. 24.0 - 27.9
3. 25.0 - 28.9
4. 25.0 - 29.9

Correct answer: 4. 25.0 - 29.9